Oncocytic carcinoma arises from -
1. Perivascular
2. Glomerulus
3. Loop of henle
4. Collecting duct

Correct answer: 4. Collecting duct

Explanation: Oncocytoma
• Arises from the intercalated cells of collecting ducts.
• Epithelial tumor composed of large eosinophilic cells having small, round, benign-appearing nuclei that have large nucleoli.
• Ultrastructurally the eosinophilic cells have numerous mitochondria.